Emergency contraceptive contains?
1. Estradiol
2. Levonorgestrel
3. Estrone
4. PGE.

Correct answer: 2. Levonorgestrel

Explanation: ANSWER: (B) LevonorgestrelREF: Shaw 13th ed p. 233"The post coital pill or emergency pill or morning after pill contains levonorgesterol (LNG)"